The correlation between IMR and Socio Economic status is best depicted by -
1. Correlation (+1)
2. Correlation (+0.5)
3. Correlation (-1)
4. Correlation (-0.8)

Correct answer: 4. Correlation (-0.8)

Explanation: Ans. is 'd' i.e., Correlation (-0.8) There is a negative correlation between socio-economic status and IMR i.e. when socio economic status increases the IMR at that place falls . As this correlation is strong. the correlation coefficient will be beyond - 0.80. to -0.89 oRt Since the IMR is due to the interaction of several factors in combination of which socio economic status is one of the most important. The relationship between IMR & socio economic status is strong but not so strong for the correlation coefficient to be -1. So the answer should be somewhere between 0.5 to 1 (i.e., 0.8).